Glaucoma capsulare is caused by
1. Neovascular glaucoma
2. Pseudoexfoliative glaucoma
3. Pigmentary glaucoma
4. Angle recession glaucoma

Correct answer: 2. Pseudoexfoliative glaucoma

Explanation: Occurrence of glaucoma in eye with pseudoexfoliation is called glaucoma capsulareReference: Aravind FAQS in Ophthalmology; First Edition; Page no: 232